Corpus delicti stands for -
1. Body of court proceedings
2. Body of offence
3. Body of proof
4. Body of evidence

Correct answer: 2. Body of offence

Explanation: Corpus delicti (Latin: corpus-main body or mass of the structure, delictus - offence or fault) means the essence of crime or the body of offence. It includes facts and elements of a criminal offence for example murder, road traffic accident, place of suicide etc. The main part of corpus delicti is the establishment of the identity of the dead body, and infliction of violence in a particular way, at a particular time and place, by the person or persons charged with a crime and none other. Ref: Dr K.S Narayana Reddy, The Essentials of Forensic Medicine & Toxicology, 34th edition, 2017, pg. 55.